Muscle mostly affected in thyroid ophthalmopathy is:
1. Lateral rectus
2. Inferior rectus
3. Superior rectus
4. Medial rectus

Correct answer: 2. Inferior rectus

Explanation: Ans. Inferior rectus